Mechanism of action of Fluoroquinolones is
1. Inhibit cell wall synthesis
2. Inhibit protein synthesis
3. Inhibit DNA gyrase
4. Interfere with DNA synthesis

Correct answer: 3. Inhibit DNA gyrase

Explanation: (Inhibit DNA gyrase) (628, 647-KDT) (688-KDT 6th)Fluoroquinolones (FQs)* First generation FQs - Norfloxacin, Ciprofloxacin, Ofloxacin, Pefloxacin* Second generation FQs - Lomefloxacin, Sparfloxacin, Levofloxacin, Gatifloxacin, Moxifloxacin.* FQs inhibits the enzyme bacterial DNA gyrase, which nicks double stranded DNA, introduces negative super coils and then reseals the nicked ends.* FQ action is similar enzyme topo isomerase IV, which nicks and separates daughter DNA strands after DNAreplication.